All of the following are formal thought disorder EXCEPT:
1. Schizophrenia
2. Delusion
3. Loosening of association
4. Mania

Correct answer: 2. Delusion

Explanation: Ans. B i.e. DelusionDelusion is a disorder of thought content (NOT a formal thought disorder/disorder of thought process)DelusionDisorder of thought;False unshaken belief not amenable to reasoningSchizophrenia- Formal thought disorderLoosening of association-Formal thought disorderMania-Stream of thought disorder